Fluoride which is used in the collection of blood samples for glucose estimation inhibits whch of the following enzyme?
1. Glucokinase
2. Hexokinase
3. Enolase
4. Glucose-6-phosphatase

Correct answer: 3. Enolase

Explanation: For blood glucose estimation in the laboratory, fluoride is added to the blood to prevent glycolysis by cells by inhibiting enzyme enolase so that blood glucose is correctly estimated. Ref: Harper's Principles of Internal Medicine, 26th Edition, Page 137; Textbook of Biochemistry By Vasudevan, 5th Edition, Pages 58, 87